412 CrPC is related to?
1. Withdrawal of cases by Session Judge
2. Withdrawal of cases by Judicial magistrate
3. Withdrawal of cases by executive magistrate
4. Reasons to be Recorded

Correct answer: 4. Reasons to be Recorded

Explanation: Ans. is 'd' i.e., Reasons to be Recorded Section 409 CrPC : Withdrawal of cases and appeals by Session Judge. Section 410 CrPC : Withdrawal of cases by Judicial Magistrate. Section 411 CrPC : Making over or withdrawal of cases by executive magistrates. Section 412 CrPC : Reasons to be recorded:- A Session judge or Magistrate making an order under section 408, 409, 410 or 411. Shall record his reasons for making it.